which of the following is the most potent stimulus for the devlopment of cor pulmonale in patients with chronic obstructive pulmonary disease?
1. obliteration of pulmonary vascular bed
2. alveolar membrane damage
3. left ventricular failure
4. hypoxia

Correct answer: 4. hypoxia

Explanation: Definitions # Cor pulmonale is a latin word means "pulmonary heart" . # The world Health Organizaton in 1963 adopted this definition of cor pulmonale :" hypertrophy of the right ventricle resulting from diseases affecting the function and/or structure of the lungs, except when these pulmonary alterations are the result of diseases that primarily affect the left side of the heart , as congenital heart diseases" # Cor pulmonale is a disease of the right ventricle characterized by hypertrophy and dilation that results from diseases directly affecting the lung parenchyma or lung vasculature. Of note ,right heart failure need not be present in cor pulmonale . Pathophysiology * Under normal phsyologic conditions. the right ventricle pumps against a low-resistance circuit. * Normal pulmonary vascular resistance is approximately one-tenth the resistance of the systemic arteries. * The right ventricle is thin walled and able to accommodate considerable changes in volume without large changes in pressure. * Increased cardiac output leads to recruitment of underperfused pulmonary vessels and distention of other pulmonary vessels. * The initial pathophysiologic event in the production of co r pulmonale is elevation of the pulmonary vascular resistance. * As the resistance increases. the pulmonary arterial pressure rises. right ventricular work increases. right ventricular hypertrophy (i.e.,thickening. dilation. or both ). * Right ventricular failure occurs when compensation through dilation and hypertrophy are exhausted. Management * Treat underlying cause -- e.g. COPD and pulmonary infections * Treat respiratory failure -- in the acute situation give 24% oxygen if pa02 <8k Part . Monitor ABG and gradually increase oxygen concentration if P,C0_ is stable. In COPD patients, long-term oxygen therapy (LTOT) for 15h/d increases survival. Patients with chronic hypoxia when clinically stable should be assessed for LTOT. ref : harrisons 21st ed